Bansdola is a form of strangulation by –
1. Ligature
2. Hands
3. Sticks
4. Bend of elbow

Correct answer: 3. Sticks

Explanation: In Bansdola one strong bamboo stick is placed across the back of the neck and another across the front. Both the ends are tied with a rope due to which the victim is squeezed to death. Sometimes a stick is placed across the front of neck & the assailant stands with a foot on each end of the stick